Weight of the liver is -
1. 1.5 kg
2. 4 kg
3. 0.5 kg
4. 7 kg

Correct answer: 1. 1.5 kg

Explanation: Ans. is 'a' i.e., 1.5 kg * The liver is a reddish-brown wedge-shaped organ with four lobes of unequal size and shape.* A human liver normally weighs 1.44-1.66 kg (3.2-3.7 lb).* It is both the heaviest internal organ and the largest gland in the human body.